Bimolar technique is name given to which of the following views of the jaws?
1. Two molar TOPA of the right and Left sides
2. Modified panoramic radiograph
3. Oblique lateral views of the right and left sides
4. Bregma-menton view

Correct answer: 3. Oblique lateral views of the right and left sides